The matrix band for restoring a Class-I with lingual extension is
1. Tofflemire
2. Ivory No.8
3. Barton
4. T band

Correct answer: 3. Barton